Positive predictive value of a test does not depends upon
1. Incidence of disease
2. Specificity
3. Prevalence of disease
4. Sensitivity

Correct answer: 1. Incidence of disease